Most common type of primary lymphedema is?
1. Lymphedema congenital
2. Lymphedema precox
3. Lymphedema tarda
4. None

Correct answer: 2. Lymphedema precox

Explanation: ANSWER: (B) Lymphedema precoxREF: Sabiston 18'h edition chapter 69, style="color: rgba(0, 0, 0, 1); font-family: Times New Roman, Times, serif"> primary_lymphedema.htm' The most common form of primary lymphedema is praecox, which accounts for about 80% of the patients. Congenital and tarda lymphedemas each account for the remaining 10%"